Which of the following types of glomerulonephritis is least likely to cause CRF:
1. Post streptococcal glomerulonephritis
2. Membranous GN
3. Membrano proliferative GN
4. Focal segmental glomerulosclerosis

Correct answer: 1. Post streptococcal glomerulonephritis

Explanation: Answer is A (Post streptococcal GN): Acute post streptococcal GN is a cause of acute Renal failure and not Chronic Renal Failure. The other types of GN listed in the question are causes of CRF. In Post Streptococcal Gn (Acute GN): 95% of the affected children recover. The remaining of who do not recover, develop a Rapidly Progressive form of Glomerulonephritis and land up in ACUTE RENAL FAILURE.